Primaquine acts on which stage of life cycle of all human malarial parasites for causal prophylaxis?
1. Pre erythrocyte
2. Erythrocyte
3. Exo erythrocyte
4. Hyponozoite

Correct answer: 1. Pre erythrocyte

Explanation: Ans. is 'a' i.e., Pre erythrocyte Antimalarial drugsPurpose Acting onExamplesCausal prophylaxisPreerythrocytic schizogony1. For falciparum: Proguanil, tetracycline2. For all species: PrimaquineClinical cure 1. Fast acting - Chloroquine, amadioquine, quinine, mefloquine, halofantrine, lumefanterine, atovaquone, artimisinin.2. Slow acting - Pyrimethamine, proguanil, sulfonamides, tetracyclines.GametocidalGametocytes1. For all species: Primaquine, artimisinins2. For P. vivax: Chloroquine, quinineRadical careExoerythrocytic schizogonyI. Primaquine